Prions consist of:
1. DNA and RNA
2. DNA, RNA and proteins
3. RNA and proteins
4. Only proteins

Correct answer: 4. Only proteins

Explanation: Ans. (d) Only protein